Which of the following is choleretic?
1. CCK
2. Secretin
3. Fatty acid
4. Amino acids

Correct answer: 2. Secretin

Explanation: Choleretics are substances that increase the volume of secretion of bile from the liver as well as the amount of solids secreted.Secretin is secreted by S cells that are located deep in the glands of the mucosa of the upper portion of the small intestine.Its half-life is about 5 minutesSecretin increases the secretion of bicarbonate by the duct cells of the pancreas and biliary tract. It thus causes the secretion of a watery, alkaline pancreatic juice. Its action on pancreatic duct cells is mediated cAMP. It also augments the action of CCK in producing the pancreatic secretion of digestive enzymes. It decreases gastric acid secretion and may cause contraction of the pyloric sphincter.The secretion of secretin is increased by the products of protein digestion and by acid bathing the mucosa of the upper small intestine.Secretin causes alkaline pancreatic juice to flood into the duodenum, neutralizing the acid from the stomach and thus inhibiting further secretion of the hormone.Ref: Ganong; 23rd edition; Pg no: 446